Peripheral smear may show vacuolated lymphocytes in all of the following EXCEPT?
1. Abetalipoproteinemia
2. Neuronal ceroid lipofuscinosis
3. Fucosidosis
4. Sialidosis

Correct answer: 1. Abetalipoproteinemia

Explanation: Peripheral smear may show vacuolated lymphocytes in: Neuronal ceroid lipofuscinosis Fucosidosis Sialidosis Abetalipoproteinemia- acanthocytosis